Prophylactic forceps in a cardiac diseased patient is used, when head is at station :
1. 0
2. 1
3. 2
4. -1

Correct answer: 3. 2

Explanation: 2